Shakir's tape is a useful method to measure
1. Head circumference
2. Mid arm circumference
3. Height/Length
4. Chest circumference

Correct answer: 2. Mid arm circumference

Explanation: Non-stretch MUAC tapes, known as Shakir's tape, were used to measure Mid-arm circumference. Mid-arm circumference yields a relatively reliable estimation of body's muscle mass, the reduction of which is one of the most striking mechanisms by which body adjusts to inadequate energy intakes. It cannot be used before the age of one year, between ages one and five, it hardly varies.An arm circumference exceeding 13,5cm is a sign of a satisfactory nutritional status, between 12.5 and 13.5cm it indicates mild to moderate and below 12.5cm severe malnutrition. Ref: Park; 23rd ed; Pg 640